Multiple drug resistance is transferred through -
1. Transduction
2. Transformation
3. Conjugation
4. Mutation

Correct answer: 3. Conjugation

Explanation: Ans. is 'c' i.e., Conjugation Resistance to multiple drugs is transmitted by R factor (plasmid) o R factor is transferred from one bacterium to other by conjugation. o Transduction and mutation usually cause resistance to one drug. o Transformation is not involved significantly in drug resistance.